Kiesselbach's plexus is plexus made up of?
1. Arteries
2. Veins
3. Nerves
4. Connective tissue

Correct answer: 1. Arteries

Explanation: Ans. is 'a' i.e., Arteries * Kiesselbach's plexus is formed by anastomosis of four arteries:-# Anterior ethmoidal artery,# Septal branch of superior labial artery,# Septal branch of sphenopalatine artery and# Greater palatine artery.